All the following supply blood to Auditory tube except
1. Artery of Pterygoid canal
2. Ascending Pharyngeal artery
3. Middle Meningeal artery
4. Stylomastoid artery

Correct answer: 4. Stylomastoid artery

Explanation: The auditory tube is a trumpet-shaped channel which connects the middle ear cavity with the nasopharynx. It is about 4 cm long and is directed downwards, forwards and medially.The arterial supply of the tube is derived from the ascending pharyngeal and middle meningeal arteries and the artery of the pterygoid canal. The veins drain into the pharyngeal and pterygoid plexuses of veins. Lymphatics pass to the retropharyngeal nodesReference: Chaurasia Head and Neck; 6th edition; Page no: 225